Commonest sites of intraabdominal abscess -
1. Subphrenic
2. Paracolic
3. Pelvis
4. Retroperitoneal

Correct answer: 3. Pelvis

Explanation: Pelvis is the commonest site of intraabdominal abscess because of 2 reasons.

Because the vermiform appendix is often pelvic in position.
Because the fallopian tubes are frequent sites of infection.